Which of the following intravenous induction agent suppress steroidogenesis
1. Thiopentone
2. Ketamine
3. Propofol
4. Etomidate

Correct answer: 4. Etomidate

Explanation: Refer Goodman Gilman 12/e p 538 It does not interfere with cardiovascular functions It can also produce myoclonus It can lead to adrenocortical suppression Vitamin C deficiency can cause develop with use of etomidate